Hand, foot and mouth disease is caused by which of the following viruses?
1. Cytomegalovirus
2. HIV infection
3. Coxsackie A virus
4. Herpes simplex virus

Correct answer: 3. Coxsackie A virus

Explanation: Hand, foot and mouth disease is caused by Coxsackie A vims which usually affects children. Ulcers are seen on the tongue, palate and anterior part of oral cavity. Vesiculopapular lesions are seen on the palms and soles also.Cytomegalovirus causes large ulcers in oral cavity and exudative pharyngotonsillitis.Herpes simplex presents in two forms:(i). Gingivostomatitis(ii). Herpes labialisEbstein-Barr vims causes infectious mononucleosis, nasopharyngeal cancer (non-keratinising type), Burkitt's lymphoma, non-Hodgkin's lymphoma and hairy leukoplakia. In fact Ebstein-Barr vims infection is limited to epithelial cells of the pharynx and B-lymphocytes to cause above ailments in nasopharynx and lymphomas.